Which of the following diuretics decreases the renal lithium clearance?
1. Acetazolamide
2. Mannitol
3. Furosemide
4. Spironolactone

Correct answer: 3. Furosemide

Explanation: Ref: KDT 8TH ED. Loop diuretics and thiazides cause NA+ loss in the nephron, this leads to compensatory increase in reabsorption of Na+ and Li+ in the proximal tubules.